The most common cancer, affecting both male and females of the world, is:
1. Cancer of the pancreas
2. Buccal mucosa cancer
3. Lung cancer
4. Colo-rectal cancer

Correct answer: 3. Lung cancer

Explanation: Ans- C Incidence of cancer worldwide (2012)- Males- Lung- 16.7 , Prostate- 15 , Colorectum- 10 Females- Breast- 25.2, Colorectum- 9.2, Cervix uteri- 7.9 Both sexes- Breast- 11.9, Prostrate- 7.9, Lung- 13, Colorectum- 9.7 Incidence of cancer in India (2012)- Males- Lung- 11.3, Lip & oral cavity- 11.3, Stomach- 9.1, Colorectum- 7.7 Females- Breast- 27, Cervix uteri- 22.9, Colorectum- 5.1, ovary- 5 Both sexes- Breast- 14.3, Cervix uteri- 12.1, lip & oral cavity- 7.6, Lung- 6.9 (All indices are % of total) Reference 24th Ed. Park